Allopurinol potentiates action of
1. Azathioprine
2. Busulfan
3. Actinomycin
4. Procarbazine

Correct answer: 1. Azathioprine

Explanation: Refer KDT 6/ep208 Allopurinol inhibits degradation of azathioprine and 6-mercaptopurine It thus potentiates their action